Fournier gangrene is caused by:
1. Cl. Welchi
2. Proteus
3. Streptococcus
4. Mixed infection

Correct answer: 4. Mixed infection

Explanation: Ref: Microbiology by Ananthanarayan and Paniker, 8th ed. pg. 226, 270-75* Fournier gangrene, is defined as a polymicrobial necrotizing fasciitis of the perineal, perianal, or genital area.* In the majority of cases Fournier gangrene is a mixed infection caused by both aerobic and anaerobic bacteria.Causal Agents* Wound cultures from patients with Fournier gangrene reveal that it is a polymicrobial infection with an average of 4 isolates per case.* Escherichia coli is the predominant aerobe, and Bacteroides is the predominant anaerobe that causes Fournier's gangrene* Other common microflora include the following:# Proteus# Staphylococcus# Enterococcus# Streptococcus# Pseudomonas# Clostridium# Klebsiella